Queckensted test is done for ?
1. Glomus tumor
2. CSF rhinorrhea
3. Otosclerosis
4. Acoustic neuroma

Correct answer: 2. CSF rhinorrhea

Explanation: Ans. is 'b' i.e., CSF rhinorrhea Detection of CSF Leak 1. Biochemical tests Concentrations of Glucose are higher in CSF than in nasal discharge. Glucose value > 30-40 mg% and protein value < 100 mg % (max 200 mg %) support a diagnosis of CSF leak. Presence of I3,transferrin is the most definitive test for detection of CSF and I32transferrin assay is the test of choice when a confirmatory test is needed, because of high sensitivity as well as specificity. I3-trace protein (prostaglandin D synthase) is also used, however it is nonspecific as it is also present in human testes, heart and seroma. 2. Basic clinical tests Tissue test (Handker chief test) : - Unlike nasal mucous, CSF does not cause a tissue to stiffen. Filter paper test : - Sample of nasal discharge on a filter paper exhibits a light CSF border and a dark central area of blood, i.e., double ring sign or halo sign. Queckensted test : - Compression of the jugular vein leas to increased CSF leak due to increase in ICP. Rhinoscopy : - Visualization of CSF leak from paranasal sinus. 3. CSF tracers Intrathecal fluorescein dye adminstration, radionuclide cisternography, CT cisternography.